Balloon valvotomy is successful in all of the following cases except –
1. Congenital pulmonary stenosis
2. Calcified mitral stenosis
3. Mitral stenosis is pregnancy
4. Congenital aortic stenosis

Correct answer: 2. Calcified mitral stenosis

Explanation: It is indicated in MS without calcification.